The characteristic and common presentation of diabetic neuropathy is -
1. Amyotrophy
2. Mononeuropathy
3. Symmetrical sensory neuropathy
4. Autonomic neuropathy

Correct answer: 3. Symmetrical sensory neuropathy